In an outbreak of cholera in a village of 2000 population 20 cases have occured and 5 have died. Case fatality rate is
1. 1%
2. 0.25%
3. 5%
4. 25%

Correct answer: 4. 25%

Explanation: Ref: Parks 23rd edition Case fatality rate = (Total no. of deaths due to a particular case / Total no. of cases due to the same disease) x 100 Here, CFR = (5/20) x 100= 25%